Auditory receptors are found in
1. Semicircular canal
2. Organ of corti
3. Ear ossicles
4. Tympanic membrane

Correct answer: 2. Organ of corti

Explanation: (Organ of corti) (175- Ganong 22th) (911 - K- Sembulingum 4th) (211-12- Ganong 23rd)AUDITORY PATHWAY* Receptors - The hair cells in the organ of corti are the receptors of the auditory sensations* First order neurons - are the bipolar cells. The bipolar cells form the spiral ganglion situated in the modiolus of cochlea* Second order neurons - are the dorsal and ventral cochlear nuclei present in the medulla- oblongata* Third order neurons - are in the superior olivary nucleus of the lateral lemniscus* Cortical auditory centers are in the temporal lobe of cerebral cortex*** Cortical auditory centres are concerned with perception of auditory impulses, analysis of pitch and intensity of sound and determination of source of sound.Visual receptors - Rods and cones , which are present in the retina of eye form the visual receptors.